Most of the cases of Listeria are due to serovar
1. 1
2. 4a
3. 4b
4. 6

Correct answer: 3. 4b

Explanation: Ans. is 'c' i.e., 4b LISTEROSIS . Mode of transmission; Food borne ---> Most common (most cases are due to serotype 4b) Nosocomial --> In late onset neonatal infection. . Foods implicated in infection include contaminated colesaw, pasteurized milk, soft cheese, pate, ready to eat turkey and pork productes, hot dogs, butter, prepared salads, undercooked chicken.